The most common cause of Chyluria is:
1. Carcinoma
2. Tuberculosis
3. Filariasis
4. Trauma

Correct answer: 3. Filariasis

Explanation: Answer is C (Filariasis): The most common cause of chyluria is development of fistulous connection between the lymphatics and urinary system from occlusion and subsequent rupture of the lymphatics by filarial infection. Chyluria refers to the passage of chyle in the urine and is characterized by the passage of white coloured, milk-like urine which is often aggravated by a heavy meal. It represents the development offistulous connections between the lymphatic and the urinary system. Etiologically, Chyluria may be parasitic or nonparasitic. Parasitic chyluria is commoner in the tropics it occurs due to occlusion of the lymphatics usually from filarial infections, and rarely from other causes. Non-parasitic chyluria is rare, and typically occurs due to obstruction of the thoracic duct from various causes. Causes of Chvluria Parasitic diseases Wuchereria bancrofti (Filariasis; Most Common) Other Parasitic Infections (Less Common) Eustorngylous gigus Taenia echinococcus Ascaris lumbricoides Hymenolepis nana Schistosoma hemotobium Non-parasitic diseases Chronic infection e.g. tuberculosis Neoplastic infiltration of retroperitoneal region Renal cell carcinoma Ureteric stone Trauma Pregnancy